Maximum infant mortality is seen during which period?
1. 0-4 months
2. 4-8 months
3. 8-10 months
4. 10-12 months

Correct answer: 1. 0-4 months

Explanation: ANSWER: (A) 0-4 monthsREF: Park 20th ed page 489First month of life is the best answer but since it is not provided in the options, 0-4 months is the best possible answer for this question. Read following line from Park"About 64.6% if infant deaths occurs with in the first month of life. The risk of death is greatest during the first 24-48 hours of life"